Sickle cell disease is associated with which type of renal cell carcinoma?
1. Medullary
2. Papillary
3. Chromophobe
4. Colloid

Correct answer: 1. Medullary

Explanation: - Sickle cell disease is most commonly associated with Medullary type of renal cell carcinoma. - Prognosis is poor.